Most common complication of splenectomy is ?
1. Pancreatic leak
2. Pulmonary complications
3. Pneumococcal peritonitis
4. Hemorrhage

Correct answer: 2. Pulmonary complications

Explanation: Ans. is 'b' i.e., Pulmonary complications